Instrumentation zone in periodontal therapy is:
1. The portion of the tooth where calculus (or) necrotic cementum is found
2. C.E. Junction
3. Exposed root surfaces
4. Deep periodontal pocket

Correct answer: 1. The portion of the tooth where calculus (or) necrotic cementum is found